Barbiturates acts on -
1. a - adrenergic receptors
2. b - adrenergic receptors
3. Cholinergic receptors
4. GABA receptor

Correct answer: 4. GABA receptor

Explanation: Ans. is 'd' i.e., GABA receptors o Barbiturates act primarily at the GABA - BZD receptor - Cl- channel complex and potentiate GABAergic inhibition by increasing the lifetime of Cl- channel opening caused by GABA (Contrast benzodiazepines which enhance frequency of Cl- channel opening) - GABA facilitatory action.o Benzodiazepines antagonist - Flumazenilo Benzodiazepines inverse agonist - b - carboline (DMCM)Drugs affectign GABA receptorsGABAA receptoro GABA - Endogenous agonisto Muscimol - Agonisto Bicuculline - Competitive antagonistGABAB receptoro Baclofen - Agonisto Saclofen - Antagonisto Picrotoxin - Blocks Cl- channel noncompetitivelyo Barbiturate - Agonist at aliostearic site (other than BZD site)o Benzodiazepine - Agonist at aliostearic site (BZD site)o b-earboline (DMCM) - Inverse agonist at BZD siteo Flumazenil - Competitive antagonist at BZD siteo Alcohal, inhalation anaesthetic, propofol - open Cl- channel directly,o Alphaxoloneo Zopiclone, zolpidem, zoleplon - agonist at BZD site,o Anticonvulsants (Gabapentine, vigabaterine)o Ivermectin